Which of the following is secreted by beta cells of pancreas along with insulin?
1. Somatostatin
2. Amylin
3. Pancreatic polypeptide
4. Glucose like peptide

Correct answer: 2. Amylin

Explanation: Ans. b. Amylin (Ref: Katzung 12/ep763; Ganong 23/e p316;Guyton 12/e p939; Sabiston 19/e p946) Amylin is produced by pancreatic beta cells, packaged within beta-cell granules in a concentration 1-2 % that of insulin and co-secreted with insulin in a pulsatile manner and in response to physiologic secretory stimuli"Amylin is a 37-amino-acid peptide originally derived from islet amyloid deposits in pancreas material from patients with long-standing type 2 diabetes or insulinomas. It is produced by pancreatic beta cells, packaged within beta-cell granules in a concentration 1-2% that of insulin and co-secreted with insulin in a pulsatile manner and in response to physiologic secretory stimuli. The physiologic effect of amylin may be to modulate insulin release by acting as a negative feedback on insulin secretion. At pharmacologic doses, amylin reduces glucagon secretion, slows gastric emptying by a vagally medicated mechanism, and centrally decreases appetite. "--Katzung 12/e p763Islet CellsContentAlpha cellsGlucagon, pancreastatinQ, glicentinQ (PG)Beta cellsInsulin, amylinQ pancreastatinQ (IAP)D celtsSomatostatinD2 cellsVIPG cellsGastrinPP cellsPancreatic polypeptide